Which of the following is not seen on hemoglobin electrophoresis in sickle cell anemia -
1. HbA
2. HbA2
3. HbF
4. HbS

Correct answer: 1. HbA